Drug of choice in eye in trachoma endemic areas?
1. Erythromycin
2. Ganciclovir
3. Clindamycin
4. Azithromycin

Correct answer: 4. Azithromycin

Explanation: Azithromycin is the drug of choice in treatment of trachoma in endemic areas Erythromycin, ganciclovir and tetracyclines are used topically In blanket therapy or mass therapy of trachoma In endemic zone 1% tetracycline ointment OD x 10 days x 6 months is prescribed